Denileukin diftitox is used in
1. Breast carcinoma
2. AML
3. Cutaneous T cell lymphoma
4. Burkitt's lymphoma

Correct answer: 3. Cutaneous T cell lymphoma

Explanation: It is a immunotoxin that binds to IL - 2.